A 50 year old Mehta, presents to his physician every month complaining about headache which he suspects could be a brain tumour. Despite having done a normal MRI scan he is not convinced that the diagnosis ruled out. The physician thinks that he misinterprets the body sentsations and is overtly concerned about his health. What is the likely diagnosis?
1. Pituitary Tumour
2. Hypochondriasis
3. Somatisation Disorder
4. Capgras Syndrome

Correct answer: 2. Hypochondriasis

Explanation: The patient in the question presents with anxiety about having a particular diagnosis like a tumour. He is not convinced by the evidence against it. He has a belief that he has a life threatening diagnosis. This is indicative of Hypochondriasis. Hypochondriasis can be a severe anxiety or in worse cases Delusional Hypochondriasis which can be considered as psychosis. In somatisation disorder the patient is often worries about multiple symptoms, not a particular diagnosis. Pituaitary tumour could present with a bitemporal hemianopia. Capgras syndrome is a misidentification delusion.